Ground glass hepatocytes are seen in which of the viral hepatitis -
1. HAV
2. HBV
3. HCV
4. HDV

Correct answer: 2. HBV

Explanation: HBV-infected hepatocytes may show a cytoplasm packed with spheres and tubules of HBs Ag, producing a finely granular cytoplasm ("ground-glass hepatocytes").